The difficulty score for an mesioangutar impacted mandibular 3rd molar, Class II and level II is
1. 5
2. 7
3. 10
4. 6

Correct answer: 1. 5